Best method to deliver arms in breech
1. Lovset's method
2. Smellie veit
3. Pinard's
4. Any of the above

Correct answer: 1. Lovset's method

Explanation: Ans. is a i.e. Lovset's method Friends amongst malpresentations - Breech is the most frequently asked - "Many question are asked on Breech. So, 1 am summarising ail the important points you need to know about breech." Breech Most common cause prematurity. Most common type of Breech : Frank Breech / Extended breech. Incidence : 20% at 28 week: 5% at 34 weeks 3% at term. Commonest position - Left sacroanterior (LSA). Engaging diameter of breech - Bitrochanteric (10 cm). Engaging diameter of shoulder - Bisacromial (12 cm). Engaging diameter of head - suboccipitofrontal (10 cm). Head is born by flexion.deg Diagnosis by Vaginal examination : Flexed Breech Extended Breech Footling presentation (MC in multipara) (MC in primigravida) lschial tuberosities, anus, sacrum. Buttocks with genitalia are the * Feet are the presenting part buttocks and feet are palpated presenting part, feet not felt * Maximum chances of cord prolapse